Lady with recent delivery engorged shiny mass on breast under nipple fever
1. Breast abscess
2. Fibroadenosis
3. Sebaceous cyst
4. Fibroadenoma

Correct answer: 1. Breast abscess

Explanation: Answer- A. Breast abscessFeaturesouringbreastabscess :Lactating womanTender swellingPyreiaTense shiny overlying skin